Which of the following inhalational anesthetic should be avoided in middle ear surgery?
1. Ether
2. Nitrous oxide
3. Halothane
4. Isoflurane

Correct answer: 2. Nitrous oxide

Explanation: Nitrous oxide is more soluble than nitrogen in blood and diffuses into air-filled cavities quicker than nitrogen diffuses out. The ensuing increased middle ear pressure may be problematic, including potential dislodgement of tympanoplasty grafts. Furthermore, acute discontinuation of high concentrations of nitrous oxide markedly decreases cavity pressure and may cause serous otitis. Basics of anesthesia 7e pg: 536